Dietary fibre contains:
1. Collagen
2. Pectin
3. Proteoglycans
4. Starch

Correct answer: 2. Pectin

Explanation: B i.e. PectinDietary Fiber consists of all plant cell wall components that cannot be digested by animals' own enzymes. These include :1. CelluloseQ 4. Gums Q2. Hemicellulose Q 5. PectinsQ3. LigninQ 6. Pentosans QHigh fiber diet aids water retention during passage of food along the gut, producing larger & softer faeces; thereby also reducing the stool transit time. Q